Which of the following is false regarding echinocytes
1. Irregular spicules on RBC surface
2. Seen in liver disorders
3. Both of the above
4. None of the above

Correct answer: 1. Irregular spicules on RBC surface

Explanation: Echinocytes (Burr cells) have short and Equally spaced spicules.
Seen in liver disorders, MIHA, Uremia.